All of the following represent disorders or protein misfolding, except
1. Alzheimer's disease
2. Tuberculosis
3. Cystic fibrosis
4. Creutzfeldt-Jakob disease

Correct answer: 2. Tuberculosis

Explanation: A normal gene makes the normal Prp protein .when gene is mutataed there will be protein misfolding. in Alzhener's disease, there is beta amyloid protein formation . this further forms plaque . this causes dementia , hallucination etc. cystic fibrosis is caused by abnormal protein CFTR. Creutzfeldt disease is caused due to prions. tuberculosis is an infectious disease and does not cause protein misfoldingRef: DM Vasudevan - Textbook of Biochemistry, 7th edition, page no: 728 & 606